Weber Ferguson Incision is used for operating which cancer
1. Breast cancer
2. Hard Palate cancer
3. Thyroid cancer
4. Cancer Penis

Correct answer: 2. Hard Palate cancer

Explanation: Ans. (b) Hard palate cancerRef: Bailey and Love 27th edition Page 775* Hard palate tumors are very common in India due to reverse smoking.* Malignant tumors of minor salivary glands appear on hard palate.* More extensive tumors involving the Floor of maxillary sinus may need a wider incision- WEBER FERGUSON Incision running along the medial canthus.